captopril test is used as a diagnostic test for ?
1. renovascular hypertension
2. postural hypotension
3. acute congestive heart failure
4. MI

Correct answer: 1. renovascular hypertension

Explanation: ref : kd tripathi 8th ed